Prostate glands is homologous to:
1. Bartholin's gland
2. Cowper's gland
3. Skene glands
4. Bulbourethral glands

Correct answer: 3. Skene glands

Explanation: Ans. is c, i.e. Skene glandsRef: COGDT 11th/ed, p24Glands in maleHomologous glands in females* Prostate gland* Skene glands/paraurethral glands* Cowper's gland* Bartholin gland* Glands of Littre (in penile urethra)* Glands of labia majora* Glands of labia minora